78 year old male, known case of prostate cancer with multiple painful vertebral metastasis. Ideal management plan would be -
1. Androgen ablation with Orchidectomy
2. Palliative Chemotherapy
3. Radical prostatectomy
4. TURP

Correct answer: 1. Androgen ablation with Orchidectomy

Explanation: Answer- A. Androgen ablation with Orchidectomy Only Palliative t/t is the optionl) Androgen Ablation is the first line therapyIt can be achieved by-Orchiectomy orDrugs (medical castration)2) Palliative Radiotherapy